Drugs that have been found to be useful in compensated heart failure include all of the following except:
1. Na+ K+ ATPase inhibitors
2. Aldosterone antagonists
3. BNP analogue
4. Beta receptor antagonists

Correct answer: 3. BNP analogue

Explanation: BNP analogue (Nesiritide) are used in acute cardiac failure not used in chronic therapy. Compensated heart failure (Chronic CHF): Management: Digitalis (Na+ - K+ ATPase inhibitor) - Inhibit Na+/K+ ATPase--> positive inotropic action. It does not acts as chronotropic agent so no increase in workload on heart and useful in chronic conditions. Aldosterone antagonist: Decreases morbidity/mortality. Used to prevent cardiac remodelling along with ACE inhibitors and ARBs. b blockers: These drugs can precipitate acute decompensation of cardiac function but are used in chronic CHF as these decrease mortality by reversing LVH.